The incidence of breech at term is
1. 1%
2. 3%
3. 99.50%
4. 0.50%

Correct answer: 2. 3%

Explanation: Researchers generally site a breech presentation frequency at term of 3-4%. at the onset of labour though some claim a frequency as high as 7%.). the incidence is about 20 % at 28 wks which drops to 3-4% at term.